Partial pressure of O2 at atmospheric pressure of 760 mm of Hg
1. 76 mm of Hg
2. 160 mm of Hg
3. 120 mm of Hg
4. 140 mm of Hg

Correct answer: 2. 160 mm of Hg

Explanation: Partial pressure of oxygen at atmospheric pressure is 160 mm HG Ref: guyton and hall textbook of medical physiology 12 edition page number:311,312,313